All are factors of poor wound healing EXCEPT:
1. Young age
2. Infection
3. Zinc deficiency
4. Vitamin D defiriency

Correct answer: 1. Young age

Explanation: ANSWER: (A) Young ageREF: Robbins 8th ed Page 106, 439, Harrison 18th ed Table 74-2 LOCAL AND SYSTEMIC FACTORS THAT INFLUENCE WOUND HEALINGThe adequacy of wound repair may he impaired by systemic and local host factorsSystemic factors include those listed below:Nutrition has profound effects on wound healing. Protein deficiency, for example, and particularly vitamin C deficiency, inhibit collagen synthesis and retard healing.Metabolic status can change wound healing. Diabetes mellitus, for example, is associated with delayed healing, as a consequence of the microangiopathy that is a frequent feature of this diseaseCirculatory status can modulate v.round healing. Inadequate blood supply , usually caused by arteriosclerosis or venous abnormalities (e.g., varicose veins) that retard venous drainage, also impairs healing.Hormones such as glucocorticoids have well-documented anti-inflammatory effects that influence various components of inflammation. These agents also inhibit collagen synthesis.Local factors that influence healing include those listed here:Infection is the single most important cause of delay in healing, because it results in persistent tissue injury and inflammation.Mechanical factors, such as early motion of wounds, can delay healing, by compressing blood vessels and separating the edges of the wound.Foreign bodies, such as unnecessary sutures or fragments of steel, glass, or even bone, constitute impediments to healing.Size, location, and type of wound. Wounds in richly vascularized areas, such as the face, heal faster than those in poorly vascularized ones, such as the foot. As we have discussed, small incisional injuries heal faster and with less scar formation than large excisional wounds or wounds caused by blunt trauma.